Which of the following is not a feature of chronic progressive external ophthalmoplegia
1. Starts with bilateral ptosis
2. May be associated with heart block.
3. Finally ocular motility palsy
4. Significant diplopia

Correct answer: 4. Significant diplopia

Explanation: Chronic Progressive External Ophthalmoplegia No diplopia since it is bilaterally symmetrical No neurological involvement. Progressive generalized muscular disorder. Starts with bilateral ptosis, is symmetrical. Finally ocular motility palsy followed by paralysis occurs.